Which of the following cause metabolic alkalosis?
1. Diarrhoea
2. Chronic renal failure
3. Hyperaldosteronism
4. Salicylate poisoning

Correct answer: 3. Hyperaldosteronism

Explanation: In hyperaldosterone: increased aldosterone levels cause increased H+ secretion by the distal tubule and increased reabsorption of HCO3- - Metabolic alkalosis Causes of Acid-Base Disorders Metabolic acidosis Metabolic alkalosis Respiratory acidosis Respiratory alkalosis Ketoacidosis Lactic acidosis Chronic renal failure Salicylate intoxication Methonol/Formaldehyde intoxication Ethylene glycol intoxication Diarrhoea Renal tubular acidosis Vomiting Hyperaldosteronism Loop or thiazide diuretics Opiates, sedatives , anesthesia Guillian-Barre syndrome , polio, ALS, multiple sclerosis Airway obstruction Adult repsiratory distress syndrome, COPD Pneumonia Pumonary embolism High altitude Psychogenic Ref: Costanzo's Physiology 6th edition Pgno: 325